Medical sociology views illness as ?
1. Purely medical problem
2. Medical and environmental problem
3. Medical and psychosocial problem
4. Psychosocial problem

Correct answer: 3. Medical and psychosocial problem

Explanation: Ans. is 'c' i.e., Medical and psychosocial problem Medical sociology is a specialization within the field of sociology.Its main interest is in the study of health, health behaviour and medical institutions.As a specialized field, it was first proposed by Charles McIntire in 1894.It is defined as "professional endeavour devoted to social epidemiology, the study of cultural factors and social relations in connection with illness, and the social principles in medical organization and treatment."Broadly speaking medical sociology includes studies of the medial profession, of the relationship of medicine to public, and of the social factors in the aetiology, prevalence, incidence and interpretation of disease.